General Paresis of insane is associated with
1. Miliary tuberculosis
2. Tertiary Syphilis
3. Vitamin B12 deficiency
4. Autoimmune encephalitis

Correct answer: 2. Tertiary Syphilis

Explanation: It is a late complication of neurosyphilis